All of the following are true EXCEPT
1. Absence from the diet of certain amino acids that are present in most proteins is not deleterious to human health
2. Tetrahydrobiopterin is involved in tryptophan biosynthesis
3. Selenocysteine is an essential component of several mammalian proteins
4. Intermediates of the citric acid cycle and of glycolysis acts as precursors of aspartate, asparagine, glutamate, glutamine, glycine, and serine

Correct answer: 2. Tetrahydrobiopterin is involved in tryptophan biosynthesis

Explanation: Analyse each option:- Nutritionally non-essential amino acids can be synthesised in the body. So, their absence from the diet in proteins is not deleterious to human health - option a is correct statement. Selenocysteine is present in Thioredoxin reductase, Glutathione peroxidase, 5' deiodinase, Selenoprotein P - option c is correct statement. Oxaloacetate and alpha ketoglutarate are precursors of aspartate and glutamate. 3-phosphoglycerate is the precursor of serine which in turn can produce glycine - option d is also correct. We are left with option b. Tetrahydrobiopterin is needed for tyrosine biosynthesis, not for tryptophan. Moreover, tryptophan cannot be synthesized in human body!